At what stage neutrophil appears in peripheral blood
1. Myeloblast
2. Promyelocyte
3. Myelocyte
4. Band forms

Correct answer: 4. Band forms

Explanation: In neutrophils this is the "dawn" of neutrophilia. Myelocytes are not normally found in the peripheral blood. Metamyelocytes (10-18m) are slightly smaller than myelocytes. They have kidney shaped indented nuclei and relatively dense chromatin, especially along the nuclear membrane. Refer robbins 9/e